When patient closes in centric occlusion if lower jaw is placed anteriorly in relation to upper jaw. It is called as
1. Normal occlusion
2. Centric occlusion
3. Pre normal occlusion
4. Centric relation

Correct answer: 3. Pre normal occlusion